Which is not an endogenous catecholamine ?
1. Dopamine
2. Dobutamine
3. Adrenaline
4. Noradrenaline

Correct answer: 2. Dobutamine